Hyper coagulability due to defective factor v gene is called
1. Lisbon mutation
2. Leiden mutation
3. Antiphoshpolipid syndrome
4. Inducible thrombocytopenia syndrome

Correct answer: 2. Leiden mutation

Explanation: Ref Robbins 8/p131,8/e p 122 ,9/e p123